Estrogen replacement therapy is contraindicated in women with all except
1. Abnormal genital bleeding
2. Known case of breast cancer
3. Vasomotor symptoms
4. Recent thromboembolism

Correct answer: 3. Vasomotor symptoms

Explanation: Estrogen replacement therapy is not contraindicated in women with vasomotor symptoms.